Which of the following subtance is toxic to neurons?
1. Unconjugated bilirubin
2. Bile salt
3. Haemoglobin
4. Melanin

Correct answer: 1. Unconjugated bilirubin

Explanation: Ans. is 'a' i.e., Unconjugated bilirubin